Reliability of screening test does not mean ?
1. Reproducibility
2. Repeatability
3. Validity
4. Precision

Correct answer: 3. Validity

Explanation: Ans. is 'c' i.e., Validity Repeatability (reliability) Repeatability means, the test must give consistent results when it is repeated more than once on the same individual under same conditions. That means the results of test are precise (exact), So repeatability is some time called precision, reliability or reproducibility.